Shelf life of platelets to blood bank is
1. 5 days
2. 7 days
3. 10 days
4. 21 days

Correct answer: 1. 5 days

Explanation: Platelets are approved by FDA for stored upto 5days at 20-24 (RoomTemperature) because of risk of bacterial contamination. REF: ROBBINS pathology 10th edition